Optically inactive Amino Acid is
1. Proline
2. Glycine
3. Lysine
4. Leucine

Correct answer: 2. Glycine

Explanation: Asymmetric (chiral) carbon is responsible for optical activity.
Glycine does not have asymmetric carbon, therefore is optically inactive.